Pernicious anaemia is associated with the deficiency of:
1. Folic acid
2. Vitamin B1
3. Vitamin B6
4. Vitamin B12

Correct answer: 4. Vitamin B12